A 60 year old woman presents after 4 days of cataract surgery with history of pain and decrease in vision after an initial Improvement. Diagnosis is
1. After cataract
2. Endophthalmitis
3. Iris prolapse
4. posterior capsular rupture

Correct answer: 2. Endophthalmitis

Explanation: Bacterial endophthalmitis is most dreaded complication over all.
Pain, diminition of vision after improvement s/o endopthalmitis.